Artery of 2nIi pharyngeal arch is -
1. Maxillaiy artery
2. Stapedial artery
3. Subclavian artery
4. Commoncarotid artery

Correct answer: 2. Stapedial artery

Explanation: Ans. is 'b' i.e., Stapedial artery Pharyngeal ArchMuscular ContributionSkeletal ContributionsNerveArteryCorresponding Pouch Structures1st (mandibular arch)Muscles of mastication, Anterior belly of the digastric,Mylohyoid,Tensor tympani.Tensor veli palatiniMaxilla, mandible (only as a model for mandible not actual formation of mandible). Incus andMalleus, Meckel's cartilage, Ant. Ligament of malleus,SphenomandibularligamentTrigeminal nerve (V2 and V3)Maxillary artery,External carotid arteryEustachian tube,middleear, mastoid antrum,and inner layer ofthe tympanicmembrane.2nd (hyoid archMuscles of facialexpression,Buccinator,Pfatysma,Stapedius,Stylohoid,Posterior belly of the digastricStapes, Styloid process hyoid (lesser horn and upper part of body),Reichert's cartilage.Stylohyoid ligamentFacial nerve (VII)StapedialArterymiddle ear, palatine tonsils3rdStylopharyngeusHyoid (greater horn and lower part of body), thymusGlossophar- yngeal nerve (IX)Common carotid'Internal carotidInferior parathyroid.Thymus4th Cricothyroid muscle, all intrinsic muscles of soft palate incluidng levator veli palatini Thyroid cartilage, epiglottic cartilage Vagus nerve (X)Superior laryngeal nerve Right 4th aortic arch subclavian artery Left 4th aortic arch: aortic arch Superior parathyroid, uitimobranchial body (which forms the Para follicular C-Cells of thyroid gland).6thAll intrinsic muscles of larynx except the cricothyroid muscleCricoid cartilage, arytenoid cartilages, comiculate cartilageVagus nerve (X)RecurrentlaryngealnerveRight aortic arch: pulmonary artery Left 6th aortic arch:Pulmonary artery and ductus arteriosusRudimentary structure, becomes part of the fourth pouch contributing to thyroidC-cells.